The opercular portion of the cerebral cortex that contains Broca's area is which of the following?
1. Superior frontal gyrus
2. Inferior frontal gyrus
3. Cingulate sulcus
4. Insula

Correct answer: 2. Inferior frontal gyrus

Explanation: Motor speech area of Broca (Brodmann's area 44, 45) occupies the opercular and triangular portions of the inferior frontal gyrus of the dominant hemisphere. Broca's area is formed of two minor gyri, called pars opercularis and pars triangularis, that lie in the posterior end of the inferior frontal gyrus. This area subserves expressive language function.